In hypovolemic shock all happen EXCEPT:
1. Constriction of capacitance vessels
2. Constriction of arterioles in the skin
3. Decrease in cardiac output
4. Heart rate decreases

Correct answer: 4. Heart rate decreases

Explanation: Ans. D i.e. Heart rate decreases Hypovolaemic shock It is due to inadequate circulation volume. The most common causes of this type of shock being any cause of fluid loss; haemorrhage, salt and water loss, sepsis, burns, etc. A poor venous return to the heart will decrease the stroke volume and cardiac output. The patient will attempt to compensate by tachycardia and increased systemic vascular resistance (SVR). They become cold peripherally (shut down).